Treatment of choice in a young patient with primary dysmenorrhea is:
1. Presacral neurectomy
2. Dilatation
3. Hysterectomy
4. Symptomatic

Correct answer: 4. Symptomatic

Explanation: Ans. D: Symptomatic Therapy for primary dysmenorrhoea consists of measure to relieve pain and to suppress ovulation if the woman desires contraception additionally Surgery is indicated if medical measures fail to provide relief and in women with secondary dysmenorrhoea to treat the underlying pelvic pathology